SLE like reaction is caused by:
1. Hydralazine
2. Rifampicin
3. Paracetamol
4. Furosemide

Correct answer: 1. Hydralazine